According to Ferriman Gallwey scoring system - hirsutism is diagnosed when score is more than :
1. 8
2. 12
3. 16
4. 20

Correct answer: 1. 8

Explanation: Ferriman and Gallwey described scoring system in 9 body areas Scale of 0-4 Quantifies hair growth Score of > 8 is defined as hirsutism Ref: SHAW'S TEXTBOOK OF GYNAECOLOGY; 15 TH EDITION; PG NO:115